Cephalic index is used to determine the_____
1. Age
2. Sex
3. Race
4. Any of the above

Correct answer: 3. Race

Explanation: Ans. c (Race) (Ref Reddy's essentials of FMT 23rd/48)IDENTIFICATION (determination of the individuality of a person based on certain physical characteristics, i.e., exact fixation of personality)# Corpus delicti: (body of offence, essence of crime) means, the elements of any criminal offence, e.g., murder. The main part of corpus delicti is the establishment of identity of the dead body, and infliction of violence in a particular way, at a particular time and place, by the person or persons charged with the crime and none other.# Race: It can be determined by complexion, colour of eyes, hair, clothes and skeleton.# Cephalic index = (Maximum breadth of skull / Maximum length of skull) x 100.It divides skull intoType of skullSeen inCephalic IndexHeight indexNasal indexOrbitsNasal openingsPalate1. Dolico-cephalic (long-headed)Pure Aryans, Aborigines and Negroes.C. I. 70 to 857255SquareBroadRectangular2. Mesati-cephalic (medium-headed)Europeans and Chinese.C. I. 75 to 807146TriangularNarrow and elongatedTriangular3. Brachy-cephalic (short-headed)Mongolisms (Max C.I)C. I. 80 to 857550RoundedRoundedRounded or Horse-shoe shapedSex: to be determined in cases of (1) Heirship, (2) Marriage, (3) Divorce, (4) Legitimacy, (5) Impotence, (6) Rape, etc.